All are split - thickness skin graft except
1. Thiersch graft
2. Padgett graft
3. Wolfe graft
4. Blair-Brown graft

Correct answer: 3. Wolfe graft

Explanation: Wolfe graft is full thickness skin graft.